Which cyclooxygenase plays a role in maintaining GI mucosal integrity?
1. Cyclooxygenase 1
2. Cyclooxygenase 2
3. Cyclooxygenase 3
4. Cyclooxygenase 4

Correct answer: 1. Cyclooxygenase 1

Explanation: Cyclooxygenase 1- plays a role in maintaining GI mucosal integrity The beneficial effects of NSAIDs on tissue inflammation are due to inhibition of COX-2 S/E of NSAIDs: GI mucosal ulceration and renal dysfunction- due to inhibition of the COX-1 isoform. Highly COX-2-selective NSAIDs- provide the beneficial effect of decreasing tissue inflammation & minimizing toxicity in the GI tract. Selective COX-2 inhibitors have had adverse effects on CVS, leading to increased risk of myocardial infarction.